SI unit for measuring Blood Pressure is:
1. Torr
2. mmHg
3. kPa
4. Barr

Correct answer: 3. kPa

Explanation: Answer is C (kPa) Pressure in SI units is measured in Pascal Pal Blood pressure in SI units is measured in kPa